Test to detect maternal sensitization -
1. Direct coombs test
2. Indirect coombs test
3. Both
4. None

Correct answer: 2. Indirect coombs test

Explanation: Ans. is 'b' i.e., Indirect coombs test